Cervical incompetence is when the cervix measures less than
1. 1 cm
2. 1.5 cm
3. 2 cm
4. 2.5 cm

Correct answer: 4. 2.5 cm

Explanation: Cervical incompetence diagnosis : History of repeated midtrimester painless cervical dilatation with escape of liquor amnii followed by painless expulsion of products of conception Passage number 6-8 Hegor dilator beyond internal os without resistance Absence of opening snap on withdrawal of Hegar dilator Hysterography showing funnel shaped shadow During pregnancy ,sonography showing short cervix <25 mm. Speculum examination showing dilatation of internal os with herniation of membranes. Ref: Dutta Obs 9e pg 161.